A patient presents with decreased calcium, decreased phosphate and increased alkaline phosphatase. Diagnosis is -
1. Hyperparathyroidism
2. Vitamin D deficiency
3. Osteoporosis
4. Chronic renal failure

Correct answer: 2. Vitamin D deficiency

Explanation: Ans. is 'b' i.e., Vitamin D deficiency Changes in vitamin D deficiency (Osteomalacia or Rickets)o Serum Ca++-Normal to decreaseo Serum P04-Decreasedo Alkaline phosphatase -Increasedo PTH -N/increase Serum CaSerum phosohorusAlkaline PhosphatasePTHPrimary Hyperparathy roiriismIncreaseDecreaseIncreaseIncreaseSecondary' hyper parathyroidismDecrease or NIncreaseIncreaseIncreaseOsteoporosisNNNNPaget's diseaseNNIncreaseNOsteomalacia (Vitamin D deficiency)DecreaseIncrease/ decreaseIncreaseN/Increase